In a normal electrocardiogram (ECG or EKG),
1. The P wave results from repolarization of the atria.
2. The QRS complex results from depolarization of the ventricles.
3. The T wave represents repolarization of the auricles.
4. During the P-R interval, the ventricle contract.

Correct answer: 2. The QRS complex results from depolarization of the ventricles.

Explanation: B: The QRS complex consists of three individual waves: the Q, R, and S waves. The QRS complex results from depolarization of the ventricles, and the beginning of the QRS complex precedes ventricular contraction.
A: The P wave results from depolarization of the atrial myocardium, and the beginning of the P wave precedes the onset of atrial contraction.
C: The T wave represents the repolarization of the ventricles, and the beginning of the T wave precedes ventricular relaxation.
D: During the P-R interval, the atria contract and begin to relax.